Narrowest part of middle ear is:
1. Hypotympanum
2. Epitympanum
3. Attic
4. Mesotympanum

Correct answer: 4. Mesotympanum

Explanation: When seen in corona section, the cavity of the middle ear is biconcave, as the medial and lateral walls are closest to each other in the center.